Rigor mortis starts from -
1. Eyelid muscles and lower jaw
2. Upper extremity and upper eyelid
3. Trunk muscle, lower extremity
4. Lower extremity and face

Correct answer: 1. Eyelid muscles and lower jaw

Explanation: The progress of rigor mortis is proximo distal. It starts from eyelids and lower jaw, neck then passes upwards to muscles of face and downwards to muscles of chest, upper limbs, abdomen, lower limbs and finally to fingers and toes. It passes off in the same order it appeared. Dr. Narayana Reddys Synopsis of Forensic Medicine & Toxicology 27 th edition pg. 80.